Sampling that involves randomly selecting some of the pre existing natural groups is called:
1. Cluster
2. Quota
3. Systematic
4. Simple random

Correct answer: 1. Cluster